False about pleomorphic adenoma is
1. Large in size
2. Encapsulated
3. Commonly turns malignant
4. Slow growing

Correct answer: 3. Commonly turns malignant

Explanation: Pleomorphic adenoma is a most common benign tumor of salivary gland Admixture of epithelial and stromal elements Also called mixed tumors Occurs in third to fifth decade Most frequent in females Usually arise in superficial lobe of the parotid GENERAL AND SYSTEMIC PATHOLOGY RAMDAS NAYAK PGNO.366